Epidemic typhus is transmitted by -
1. Mite
2. Louse
3. Flea
4. Tick

Correct answer: 2. Louse

Explanation: Ans. is 'b' i.e., Louse DiseaseAgentInsect vectorMammalian reservoir1.Typhus group a. Epidemic typhusR. prowazekiiLouseHumans b. Murine typhus (Endemic typhus)R. typhiFleaRodents c. Scrub typhusR. tsutsugamushiMiteRodents2.Spotted fever group a. Indian tick typhusR. conoriiTickRodents, dogs b. Rocky mountain spotted feverR. rickettsiiTickRodents, dogs c. Rickettsial poxR. akariMiteMice3.Others a. Q feverC. burnetiiNilCattle, sheep, goats. b. Trench feverRocholimaca quintanaLouseHumans